Fastest acting antithyroid drug is
1. KI
2. Propylthiouracil
3. Carbimazole
4. Cholestyramine

Correct answer: 1. KI

Explanation: KI: It is the fastest acting thyroid inhibitor which inhibits hormone release. it has a direct action on thyroid cells and also attenuates TSH and cyclic AMP induced thyroid stimulation. The gland if enlarged; shrinks, becomes firm and less vascular. The thyroid status returns to normal at a faster rate. So it is used just before thyroid surgeries REF KD tripathi 8th ed